Steps of Gram stain sequence arrangement. a. Mordant- iodine treatment b. Safranin c. Crystal violet d. Alcohol wash
1. a>b>c>d
2. b>c>a>d
3. c>a>d>b
4. b>a>d>c

Correct answer: 3. c>a>d>b

Explanation: Steps of Gram stain sequence arrangement. Step Name Feature 1 Primary stain Stain with crystal violet for 1 minute and rinse with water 2 Mordant Stain with gram's iodine for 1 min 3 Decolorization Acetone for 2-3 s or 95% ethanol for 20-30s 4 Counter stain Safranin for 30-60s